A 35-year-old man walks in with a stab wound to the most medial side of the proximal portion of the Cubital fossa. Which of the following structures would most likely be damaged?
1. Biceps brachii tendon
2. Radial nerve
3. Brachial artery
4. Median nerve

Correct answer: 4. Median nerve

Explanation: The most medial content of cubital fossa is Median nerve, which has been compromised. The contents of the cubital fossa from radial to medial side are: Radial nerve, Biceps tendon, Artery (brachial), Median nerve. (Mnemonic: R - BAM)